In liver, which of the following is responsible for metabolism of alcohol ?
1. Alcohol dehydrogenase (ADH)
2. Aldehyde dehydrogenase (ALDH)
3. Microsomal ethanol-oxidizing system (MEOS)
4. All of the above

Correct answer: 4. All of the above